Which of the following is not an antineoplastic antibiotic?
1. Actinomycin D
2. Doxorubicin
3. Bleomycin
4. Spiramycin

Correct answer: 4. Spiramycin

Explanation: Spiramycin This macrolide antibiotic, though available for more than a decade, has been employed only sporadically. It resembles erythromycin in spectrum of activity and properties. Distinctively, it has been fowtd to limit risk of transplacental transmission of Toxoplasma gondii infection. Its specific utility is for toxoplasmosis and recurrent abortion in pregnant women; 3 week courses of 3 MU 2-3 times a day are repeated after 2 week gaps till delivery. Other indications are similar to erythromycin for which 6 MU/day is given for 5 days. Side effects are gastric irritation, nausea, diarrhoea and rashes. ESSENTIALS OF MEDICAL PHARMACOLOGY K.D.TRIPATHI SIXTH EDITION PAGE NO:731